In aluminium phosphide poisoning, not true is:
1. Accumulation of acetylcholine at NM junction
2. Cytochrome oxidase
3. Phosphine formation
4. Metabolic acidosis

Correct answer: 1. Accumulation of acetylcholine at NM junction

Explanation: A i.e. Accumulation of acetyl choline at NM Junction - Celphos or Aluminium phosphide, on coming in contact with moisture liberates phosphineQ, which on reacting with silver nitrate (AgNO3) gives black colour' (Breath test). It acts by inhibiting ETS mainly cytochrome oxidaseQ. - In Celphos poisoning garlic like odour is present at mouth & nostrils; which is also seen in ZnP & As poisoning.